Increased plasma concentration of calcium is associated with:
1. Rickets
2. Osteomalacia
3. Primary hyperparathyroidism
4. Pseudohypoparathyroidism

Correct answer: 3. Primary hyperparathyroidism

Explanation: Ans. C: Primary hyperparathyroidism The most common cause of high calcium levels (hypercalcemia) is an overproduction of parathyroid hormone, or hyperparathyroidism. Hyperparathyroidism tends to be more common in women, and occurs in 25 out of every 100,000 individuals. Hyperparathyroidism can be the result of all four parathyroid glands producing an excessive amount of parathyroid hyperplasia (PTH), or the result of just one gland specifically producing an excessive amount of PTH (usually the result of a parathyroid adenoma or benign tumor). Other conditions associated with hypercalcemia include: Cancers, particularly multiple myeloma, breast cancer and lung cancer; Excessive levels of vitamin D from vitamins, excessive dietary calcium, or from diseases that may result in excess vitamin D production; Immobilization over a long period of time; Kidney failure; Overactive thyroid (hyperthyroidism) or excessive thyroid hormone intake; and Use of certain medications such as thiazide diuretics. Endocrine disorders like adrenal insufficiency, pheochromocytoma Calcitonin is a hypocalcemic hormone.